Which of the following is a characteristic feature of hypoproliferative anemia ?
1. Normocytic normochromic anemia with reticulocyte index < 2-2.5
2. Microcytic hypochromic anemia with reticulocyte index < 2-2.5
3. Microcytic hypochromic anemia with reticulocyte index > 2-2.5
4. Microcytic anemia with ringed sideroblasts

Correct answer: 1. Normocytic normochromic anemia with reticulocyte index < 2-2.5

Explanation: Anemias associated with normocytic and normochromic red cells and reticulocyte index (< 2-2.5) are hypoproliferative anemias. Reference: Harrisons Principles of Internal Medicine, 18th Edition, Page 844